Giant cells in measles are called as:
1. Koplik cells
2. HP bodies
3. Warthin Finkeldey cells
4. Weinberger bodies

Correct answer: 3. Warthin Finkeldey cells

Explanation: Measles virus infects by invasion of respiratory epithelium. Local multiplication leads to viremia (day 2-3) and subsequently spread to the reticuloendothelial system. Multinucleated giant cells can be demonstrated in both epidermis and oral epithelium by 7-11 days. Two types of giant cells are seen in measles: Warthin Finkeldey cells of reticuloendothelial system and epithelial giant cells of respiratory and other epithelia. Also Know: Measles virus is a spherical, nonsegmented, single-stranded, negative-sense RNA virus and a member of the Morbillivirus genus in the family of Paramyxoviridae. Koplik's spots are pathognomonic of measles and consist of bluish white dots 1 mm in diameter surrounded by erythema. The lesions appear first on the buccal mucosa opposite the lower molars but rapidly increase in number to involve the entire buccal mucosa. Ref: O.P Ghai 6th Ed Page 207;Moss W.J. (2012). Chapter 192. Measles (Rubeola). In D.L. Longo, A.S. Fauci, D.L. Kasper, S.L. Hauser, J.L. Jameson, J. Loscalzo (Eds), Harrison's Principles of Internal Medicine, 18e.